Border moulding material should not be removed over the posterior palatal seal because:
1. In enhances the posterior palatal seal.
2. It serves as a guide for positioning the tray.
3. It prevents aspiration of the impression material.
4. All of the above.

Correct answer: 4. All of the above.